Which of the following antibiotic acts by inhibiting cell wall synthesis ?
1. Chloramphenicol
2. Gentamicin
3. Erythromycin
4. Penicillin

Correct answer: 4. Penicillin